A primigravida female feeling depressed and showing emotional lability soon after delivery Most likely cause is?
1. Post partum blues
2. Post partum psychosis
3. Post partum depression
4. Post partum pinks

Correct answer: 1. Post partum blues

Explanation: Ans. is 'a' i.e., Post partum blues* Postpartum blues (Maternity blues/baby blues) is a transient condition that 75-80% of mothers could experience shortly after childbirth with a wide variety of symptoms which generally involve mood lability, tearfulness, and some mild anxiety and depressive symptoms.* Baby blues is not postpartum depression, unless it is abnormally severe.* Postpartum depression (PPD) can affect both sexes. Onset is typically between one week and one month following childbirth. Symptoms may include extreme sadness, low energy, anxiety, changes in sleeping or eating patterns, crying episodes, and irritability. Typically, postpartum depression is considered after signs and symptoms persist for at least two weeks.* The condition can also negatively affect the person's child.* Postpartum psychosis is a rare psychiatric emergency in which symptoms mania, depression, severe confusion, loss of inhibition, paranoia, hallucinations and delusions set in, beginning suddenly in the first two weeks after delivery. The symptoms vary and can change quickly.The most severe symptoms last from 2 to 12 weeks, and recovery takes 6 months to a year* Baby pinks Instead of having the baby blues, some women experience baby pinks when they are overly and illogically on top of the world (a mild to severe form of mania). These symptoms can sometimes be a trigger for a pending depressive imbalance, such as postpartum depression or postnatal psychosis